Antagonist of Benzodiazepine is
1. Nalorphine
2. Carbamazepine
3. Naloxone
4. Flumazenil

Correct answer: 4. Flumazenil

Explanation: Ans. is 'd' i.e., Flumazenil Flumazenil is a benzodiazepine analogue which competes with BZD agonists as well as acts as inverse agonists for the BZD receptor and reverses their depressant or stimulant effects respectively.